A 40 year old man presented with repeated episodes of bronchospasm and hemoptysis. Chest X - ray revealed perihilar bronchiectasis. The most likely diagnosis is -
1. Sarcoidosis
2. Idiopathic pulmonary fiborsis
3. Extrinsic allergic alveolitis
4. Bronchopulmonary aspergillosis

Correct answer: 4. Bronchopulmonary aspergillosis